Preferred fuel for body in fasting state ?
1. Carbohydrates
2. Fats
3. Proteins
4. Amino acids

Correct answer: 2. Fats

Explanation: Preferred fuel for body in fed state is mainly Carbohydrates i.e. Glucose. But in Fasting state, preferred fuel is mainly Fats & Adipose tissues are broken down to give energy. But some exceptions are there you should learn: See the table below. Fed Fasting Starvation Brain Glucose Glucose Ketone Bodies Heart Fatty Acids Fatty Acids Ketone Bodies Liver Glucose Fatty Acids Amino Acids Muscle Glucose Fatty Acids Fatty Acids and KB Adipose tissue Glucose Fatty Acids Fatty Acids RBC Glucose Glucose Glucose